A patient presents with lower gastrointestinal bleed. Sigmoidoscopy shows ulcer in the sigmoid. Biopsy from this area shows flask-shaped ulcers. Which of the following is the most appropriate treatment?
1. Intravenous ceftriaxone
2. Intravenous metronidazole
3. Intravenous steroids and sulphasalazine
4. Hydrocortisone enemas

Correct answer: 2. Intravenous metronidazole

Explanation: Ans. is 'b' i.e., Intravenous metronidazole(Ref: Harrison, 18th/e, p. 1686; 17th/e, p. 1278)* Flask-shaped ulcer in a patient of GI bleed suggests amoebiasis (amoebic dysentery).* Metronidazole or Tinidazole are the DOCs.